Incudo malleal joint belongs to which of the following group of joints?
1. Saddle joint
2. Pivot joint
3. Plane synovial joint
4. Condylar joint

Correct answer: 1. Saddle joint

Explanation: Incudomalleal joint formed by the articulation of head of malleus and head of incus is a saddle joint. Examples of Saddle joints: ? 1st carpometacarpal joints? Sternoclavicular joint? Calcaneocuboid joint? Incudo malleolar joint